True about complete hydatidiform mole is:a)  Chromosome pattern is XXb) It is of maternal originc)  Enlarged ovarian cyst occursd) It is common in developed countriese)  Associated with preeclampsia
1. ace
2. bde
3. cde
4. ade

Correct answer: 1. ace

Explanation: The incidence of H. mole is maximum in oriental and south east countries (maximum incidence is in Philippines: 1 in 80 pregnancies) i.e., it is more common in developing countries (option ‘d’ ruled out).
H. mole can be categorized as either complete or partial mole on the basis of Gross morphology, histopathology and karyotype.

Complete H. mole - shows no evidence of fetal tissue at all.

Complete hydatiform moles exhibit characteristic swelling and trophoblastic hyperplasia.
Most common karyotype is 46XX (10% may have a 46XY karyotype).
The molar chromosomes are entirely of paternal origin, although mitochondrial DNA is of maternal origin.
The complete moles arises from an ovum that has been fertilized by a haploid sperm, which then duplicates its own chromosomes called as Androgenesis. The ovum nucleus may be either absent or inactivated.

Theca lutein cysts in ovary and preeclampsia (Early onset) are seen in H mole